A 88 years male patients presented with end stage renal disease with coronary artery block and metastasis in the lungs. Now presents with acute cholecystitis, patient's relatives need treatment to do something -
1. Open cholecystectomy
2. Tube cholecystostomy
3. Laparoscopic cholecystectomy
4. Antibiotics then elective cholecystectomy

Correct answer: 2. Tube cholecystostomy